Refsum's syndrome is associated with ?
1. Retinitis pigmentosa
2. Xerophthalmia
3. Chalcosis
4. Diabetes retinopathy

Correct answer: 1. Retinitis pigmentosa

Explanation: Ans. is 'a' i.e., Retinitis pigmentosa Associations of retinitis pigmentosa Ocular associations : These include myopia, primary open angle glaucoma, microphthalmos, conical cornea and posterior subcapsular cataract. Systemic associations : These are in the form of following syndromes :- i) Laurence-Moon-Biedl syndrome : It is characterised by retinitis pigmentosa, obesity, hypogenitalism, polydactyly and mental deficiency. ii) Cockayne's syndrome : It comprises retinitis pigmentosa, progressive infantile deafness, dwarfism, intellectual disability, nystagmus and ataxia. iii) Refsum's syndrome : It is characterized by retinitis pigmentosa, peripheral neuropathy and cerebellar ataxia. iv) Usher's syndrome : It includes retinitis pigmentosa and labyrinthine deafness. v) Hallgren's syndrome : It comprises retinitis pigmentosa, vestibulo-cerebellar ataxia, congenital deafness and mental deficiency.